Calculus is most commonly seen in which salivary gland
1. Parotid
2. Submandibular
3. Sublingual
4. Palatal

Correct answer: 2. Submandibular

Explanation: SALIVARY CALCULI Calculi may form in the ducts of submandibular or parotid glands. They are formed by the deposition of calcium phosphate on the organic matrix of mucin or cellular debris. About 90% of the stones are seen in submandibular and 10% in the parotid. Stones may form in the duct or parenchyma of the gland. Features: It includes intermittent swelling of the involved gland, and pain due to obstruction to outflow of saliva. Sometimes, stone is visible at the duct opening or can be palpated. About 80% of the stones are radio-opaque and can be seen on appropriate X-rays. Sialography may be required for radiolucent stones. Stones in peripheral part of submandibular or parotid ducts can be removed intraorally, while those at the hilum or in the parenchyma require excision of the gland. Ref:- Dhingra; pg num:-233